Smallest diameter of the eyeball is:
1. Vertical
2. Horizontal
3. Anteroposterior
4. More than 24 mm

Correct answer: 1. Vertical

Explanation: Ans. Vertical